Which of the following statements is not true for contact ulcer ?
1. The commonest site is the junction of anterior l/3rd and middle l/3rd of vocal cord and gastroesophageal reflux is the causative factor.
2. Can be caused by intubation injury.
3. The vocal process is the site and is caused/aggravated by acid reflux.
4. Can be caused by adductor dysphonia.

Correct answer: 1. The commonest site is the junction of anterior l/3rd and middle l/3rd of vocal cord and gastroesophageal reflux is the causative factor.

Explanation: Ans. is 'a' i.e. The commonest site is the junction of the anterior l/3rd and middle l/3rd of vocal cord and gastroesophageal reflux is the causative factor.Ref. Scott-Brown's Otolaryngology, 6th/e, volume 5th/, p5/1 1/3Though gastroesophageal reflux is considered to be an aetiological factor, the commonest site for contact ulcers is not the junction of anterior 1/3 and mid 1/3 of the vocal cord. It is commonly located over the vocal processes of the arytenoid cartilage.Contact ulcers (and accompanying granuloma)Nearly exclusively seen in men over the age of 30 yearsCommonly located over the vocal processesOften b/lSymptomsLow pitch quality of voice is the most pronounced feature Irritation and pain in larynxMultifactorial in etiologyVocal abuse (most imp. Etiological factor)Prolonged intubation.Esophageal dysfunction (such as gastroesophageal reflux, hiatus hernia, dysmotility)